Dilated pupil with coma is seen in which poisoning:
1. Opium
2. Dhatura
3. Mushroom
4. Pilocarpine

Correct answer: 2. Dhatura

Explanation: Ans. Dhatura